Which of the following Mapleson circuit breathing system is used in children?
1. Mapelson A
2. Mapelson D
3. Mapelson C
4. Ayers T tube

Correct answer: 4. Ayers T tube

Explanation: The Mapleson E (Ayres T piece) breathing system is used in children because it has a very low resistance and minimal dead space. The Mapleson A (Magill) breathing system is efficient for spontaneous ventilation. It is inefficient for controlled ventilation. The Mapleson B and C breathing systems are rarely used for anaesthesia. They are used for resuscitation. The Mapleson D breathing system is inefficient for spontaneous ventilation. It is efficient for controlled ventilation.